Which of the following is Not associated with congenital hypothyroidism?
1. Thyroid agenesis
2. Wide open anterior fontanelle
3. Microcephaly
4. Drooling

Correct answer: 3. Microcephaly

Explanation: Infants born with congenital hypothyroidism may show no effects, or may display mild effects that often go unrecognized as a problem: excessive sleeping, reduced interest in nursing, poor muscle tone, low or hoarse cry, infrequent bowel movements, exaggerated jaundice, and low body temperature. If fetal deficiency was severe because of complete absence (athyreosis) of the gland, physical features may include a larger anterior fontanel, persistence of a posterior fontanel, an umbilical hernia, and a large tongue (macroglossia). Reference: GHAI Essential pediatrics, 8th edition